Page system of grading is used in
1. Placenta previa
2. Abruptio placenta
3. Breech presentation
4. Ectopic pregnancy

Correct answer: 2. Abruptio placenta

Explanation: Page system of grading: depends upon the degree of placental abruption 0- Clinical features are absent 1 - Vaginal bleeding is slight,FHS is good, uterine tenderness is minimal or absent 2 - Vaginal bleeding is mild or moderate, uterine tenderness is present,Fetal distress occurs, shock is absent 3 - Bleeding is moderate to severe, uterine tenderness is marked, fetal death Ref: Dutta Obs 9e pg 239.